Which bisphosphonate is approved for the treatment of osteoporosis and is given on yearly basis?
1. Alendronate
2. Zoledronate
3. Risedronate
4. Ibandronate

Correct answer: 2. Zoledronate

Explanation: Zoledronate- approved for the treatment of osteoporosis and is given on yearly basis Ibandronate- given on monthly basis